A 35-year-old farmer consulted a local medical practitioner for recurrent attacks of chest pain.His elder brother had similar complaints and similar complaints and had died suddenly at the age of 40 year. The farmer was advised to take nitrogiyceeine sublingually at the time of pain.However,the patient finds that the intensity of pain is increased by Nitroglycerine.Most probably,he is suffering from-
1. Subacute bacterial endocarditis involving the aortic
2. Hypertrophic obstructive cardiomyopathy.
3. Degenerative mitral regurgitation
4. Chronic Type A dissection of arota.

Correct answer: 2. Hypertrophic obstructive cardiomyopathy.

Explanation: Ref:Harrison's 19th E pg 1568. Most probably it is HOCM. In HOCM, when vasodilation is done, pressure gradient between LV and aorta increases. This leads to an increase in murmur and aggregation of symptoms.